Antipsychotic drug with least extra pyramidal symptoms?
1. Pimozide
2. Thioridazone
3. Clozapine
4. Flupromazine

Correct answer: 3. Clozapine

Explanation: Ans. C. ClozapineAntipsychotics with no extrapyramidal side effects clozapine, aripiprazole, quetiapine.Amongst typical antipsychotics, thioridazone has least extrapyramial side effects.